All are true about levamisole except -
1. Acts as an immunostimulator
2. Act as an immunodepressor in high doses
3. Single dose is sufficient for the treatment ofpsoriasis
4. Acts as antihelminthic by causing depolarization

Correct answer: 3. Single dose is sufficient for the treatment ofpsoriasis

Explanation: Ans. is 'c' i.e., Single dose is sufficient for the treatment of psoriasis Levamisol o Levamisol is an antihelminthic drug and causes depolarization by stimulating nicotinic receptors. o Levamisol also has immunomodulatory action : i) Immunostimulation at low doses Immunosuppression at high doses o Uses i) Colorectal carcinoma ii) Pediculosis Psoriasis : slow to act and requires two day therapy per week for prolonged period.